Which of the following is associated with H.pylori:
1. Ulcerative colitis
2. Crohn disease
3. Celiac sprue
4. MALToma

Correct answer: 4. MALToma

Explanation: Ans. D: MALTomaMALTomas stand for mucosal associated lymphoid tissue.These are the extra-nodal equivalent of monocytoid (marginal zone) B-cell lymphomas occurring in lymphoid organs such as the lymph node.These lymphomas arise in numerous extranodal sites such as the stomach, salivary gland and thyroid, most of which lack native lymphoid tissue but acquire MALT in close association with chronic inflammation or autoimmune processes. MALT lymphomas appear to have similar clinical, pathological and molecular features regardless of organs of origin. The most common cause of "pro-lymphomatous" inflammation in the stomach is chronic H. pylori infection, which is found in association with most cases of gastric MALToma.The most striking evidence linking H. pylori gastritis to MALToma is that eradication of the infection with infection with antibiotics induces durable remissions with low rates of recurrence in most patients.